True about Gardner's syndrome is except
1. CNS tumor
2. Osteoma
3. Dermoid tumour
4. Colonic polups

Correct answer: 1. CNS tumor